Which of the following anti-hypertensives was once used as an antipsychotic ?
1. Atenolol
2. Propranolol
3. Clonidine
4. Reserpine

Correct answer: 4. Reserpine

Explanation: Ans. is 'd' i.e., Reserpine oRT Reserpine was used as an anti-psychotic and anti-hypertensive drug but was withdrawn toRT risk of suicidal tendencies.